The side effects of digitalis are all except ?
1. Ventricular tachycardia
2. Vasodilatation
3. Nausea and vomiting
4. Ventricular Bigemini

Correct answer: 2. Vasodilatation

Explanation: Ans. is 'b' i.e., Vasodilatation Digitalis causes mild vasoconstriction (not vasodilatation).